Herring bone pattern is seen in?
1. Rhabdomyosarcoma
2. Fibrosarcoma
3. Fibrocytic Histiocytoma
4. Liposarcoma

Correct answer: 2. Fibrosarcoma

Explanation: ANSWER: (B) Fibrosarcoma